In chronic obstructive pulmonary disease all are seen EXCEPT -
1. Low FEV1
2. Increased FEV1 / VC ratio
3. Smoking strongly associated
4. Partially reversible by bronchodilator therapy

Correct answer: 2. Increased FEV1 / VC ratio